Stunned pulp means
1. Stunning appearance on radiograph
2. Pulp not capable of positive response to tooth vitality tests for 6-8 weeks after injury
3. Necrotic pulp
4. Normal pulp

Correct answer: 2. Pulp not capable of positive response to tooth vitality tests for 6-8 weeks after injury